Grossly disorganised, severe personality deterioration and worst prognosis is seen is :
1. Hebephrenic
2. Catatonic
3. Simple
4. Paranoid

Correct answer: 1. Hebephrenic

Explanation: A. i.e. Hebephrenic